D-tubocurarine blocks the neuromuscular
transmission by
1. Blocking acetylcholine receptors
2. Prevent release of acetyl choline
3. Destroys acetyl choline
4. Inactivate acetylcholine esterase enzyme

Correct answer: 1. Blocking acetylcholine receptors